All of the following are true of pyrazinamide EXCEPT.
1. It kills intracellular organisms
2. It is contraindicated in pregnancy
3. It crosses blood brain barrier
4. Is is must in short course chemotherapy

Correct answer: 2. It is contraindicated in pregnancy